What is the mode of inheritance of Hereditary spherocytosis?
1. Autosomal dominant
2. Autosomal recessive
3. X-linked recessive
4. X-linked dominant

Correct answer: 1. Autosomal dominant

Explanation: - Hereditary spherocytosis is inherited in an Autosomal dominant pattern. - Results from instability of spectrin & ankyrin which are major skeletal membrane proteins. - Degree of protein deficiency correlates with degree of hemolysis. - Demonstrated by Increase in osmotic fragility after 24hrs incubation of blood at 37oC.